The most characteristic radiographic sign in a child with leukemia is
1. Osteoclerosis of the metaphysic
2. Metaphseal translucencieas
3. Perios
4. Osteolytic lesion

Correct answer: 2. Metaphseal translucencieas

Explanation: The most characteristic radiological signs in a child with leukemia are metaphyseal lucent band,reduced bone density,lytic bone lesions,metaphyseal cortical bone erosions,collapsed vertebrae,widening of sutures,and periosteal reactions. Reference: GHAI Essential pediatrics, 8th edition